All are seen in left atrium enlargement except:
1. Posterior displacement of the oesophagus on barium meal
2. Straightening of the left main hronchus
3. A double shadow of right atrium
4. Retrosternal lucency on lateral film

Correct answer: 4. Retrosternal lucency on lateral film

Explanation: Ans. Retrosternal lucency on lateral film